Ideal percentage of CO2 required for growth of Brucella abortus ?
1. 2-5%
2. 5-10%
3. 15-20%
4. 25-30%

Correct answer: 2. 5-10%

Explanation: Ans. is. b. i.e., 5-10% "Addition of 5-10% CO, improves the growth of B abortus and B. melitensis".All Brucella spp. are strictly aerobic, but some B. abortus biovars, some Brucella isolates from marine mammals, and B. ovis only grow in atmospheres containing 5-10% CO,.